Which one of the following is not a cause of vitamin B12 deficiency?
1. Blind-loop syndrome.
2. Dietary deficiency.
3. Intrinsic factor deficiency.
4. Resection of ascending colon.

Correct answer: 4. Resection of ascending colon.

Explanation: - Vit B12 is absorbed from ileum; hence resection of ascending colon has nothing to do with Vit B12 deficiency - Vit B12 deficiency is caused d/t: | Intake | Absorption - d/t decreased intrinsic factor, pancreatic & ileal diseases, fish tape worm infection | Requirement - as in children, pregnancy, lactation, blind loop syndrome